The gene coding for androgen receptors is located on
1. Short arm of X- chromosome
2. Short arm of Y- chromosome
3. Long arm of X- chromosome
4. Long arm of Y- chromosome

Correct answer: 3. Long arm of X- chromosome

Explanation: C i.e. Long arm of X-Chromosome The androgen receptor is a typical member of the steroid/ thyroid family and is encoded by a gene on the long arm of X-chromosomeQ.